Which one of the following is a relatively selective α2 adrenergic blocker with short duration of action ?
1. Prazosin
2. Yohimbine
3. Terazosin
4. Doxazosin

Correct answer: 2. Yohimbine